The organism causing biliary duct obstruction?
1. Clonorchis sinensis
2. Ankylostoma duodenale
3. Strongyloides stercoralis
4. Enterobius vermicularis

Correct answer: 1. Clonorchis sinensis

Explanation: Hepatobiliary ParasitismCommon in Southern China Biliary tract is infested by adult helminths or their ovaCauses:Trematodes (Liver or biliary flukes): Most CommonClonorchis sinensisOpisthorchis viverrini or O. felineusFasciola hepaticaNematode (Ascaris lumbricoides by intraductal migration of adult worm)